Acute osteomyelitis of long bones commonly affects the:
1. Epiphysis
2. Diaphysis
3. Metaphysis
4. Articular surface

Correct answer: 3. Metaphysis

Explanation: Metaphysis of long bone is the earliest and most common site involved in osteomyelitis. It starts in metaphysis because of: Defective phagocytosis in metaphysis (Inherently depleted Reticuloendothelial System Rich blood supply Hair pin bend of metaphyseal vessels (leads to vascular stasis and decreased oxygen tension) Metaphyseal hemorrhage due to repeated trauma (acts as culture media)